Cobble stoning of conjunctiva is seen in
1. Vernal Keratoconjunctivitis
2. Simple allergic conjunctivitis
3. Gaint papillary conjuntivitis
4. Acute hemorrhagic conjunctivitis

Correct answer: 1. Vernal Keratoconjunctivitis

Explanation: Ans. (a) Vernal KeratoconjunctivitisRef: A.K. Khurana 6th ed. 179CONJUNCTIVITIS* The inflammation of the conjunctiva is characterized by redness associated with watery or mucopurulent discharge.VERNAL KERATO CONJUNCTIVITIS OR SPRING CATARRH* It is a recurrent , bilateral, interstitial, self limiting, allergic inflammation of the conjunctiva seen in children usually in summer months.* Etiology: it is considered a hypersensitivity reaction to some exogenous allergen such as grass pollen etc.* Clinical features: characterized by marked burning and itching sensation which is usually in tolerable.# Lacrimation.# Stringly (ropy) discharge.# Usually upper tarsal conjunctiva of both eyes are involved.# Lesion are characterized as "cobble-stone" or "pavement stone" fashion.# Horner Tranta's spots: Presence of discrete whitish raised dots along the limbus.* Treatment# Mast Cell Stabilizers (Olopatadine)# Sodium ChromoglycateSimple allergic conjunctivitis: Non specific allergic rhinitis associated with hay fever or seasonal/perennial allergic conjunctivitis.GIANT PAPILLARY CONJUNCTIVITIS* Conjunctivitis with formation of large sized papillae in upper tarsal conjunctiva due to localized allergy* Against contact lens /nylon sutures/prosthesis.* Treatment: Removal of offending agent# Mast Cell Stabilizers* Acute hemorrhagic conjunctivitis: It is also called Apollo conjunctivitis. It is caused by picornavirus (enterovirus type 70).DISCHARGEETIOLOGICAL AGENT* Purulent/ mucopurulent* Watery* Ropy* Mucopurulent* Bacterial conjunctivitis* Viral conjunctivitis* Allergic conjunctivitis* Chlamydial conjuntivitis